Which Rectus muscle is not supplied by oculomotor nerve?
1. Medial rectus
2. Lateral rectus
3. Superior rectus
4. Inferior rectus

Correct answer: 2. Lateral rectus

Explanation: Lateral rectus is supplied by abducent nerve NOTE: Superior oblique is supplied by trochlear nerve The medial rectus, superior rectus, inferior rectus and inferior oblique is supplied by occulomotor nerve Ref BDC volume3.Sixth edition pg 208